The tendon of Sartorius, gracilis, and semi-tendinosus muscles forms a Pes Anserinus at the neck of tibia. Similar kind of structure is also seen in?
1. Parotid
2. Submandibular
3. Cheek
4. TMJ

Correct answer: 1. Parotid